In family welfare programme, score of 1 is given to -
1. Birth rate
2. Net reproduction rate
3. Achievement of goal
4. Total implementation of programme

Correct answer: 2. Net reproduction rate

Explanation: Net Reproduction Rate (NRR) Net Reproduction Rate (NRR) is defined as the number of daughters a newborn girl will bear during her lifetime assuming fixed age-specific fertility and mortality rates. NRR is a demographic indicator. NRR of 1 is equivalent to attaining approximately the 2-child norm. If the NRR is less than 1, then the reproductive performance of the population is said to be below replacement level Ref : Park 25th edition Pgno : 540